Maximum lengthening is obtained if the angle of Z plasty is ?
1. 30 degrees
2. 45 degrees
3. 60 degrees
4. 90 degrees

Correct answer: 4. 90 degrees

Explanation: .larger angle provides more lengthening but is difficult to close due to skin tension